A 23 year old profession footballer sufferd a twisting injury to his right ankle. On examination there is a lot of swelling around the medial malleolus but xray doesn't show any fracture. The structure injured could be -
1. Deltoid Ligament
2. Anterior talofibular ligament
3. Spring ligament
4. Tendo Achilles

Correct answer: 1. Deltoid Ligament

Explanation: Answer- A. Deltoid LigamentDeltoid ligament injuries involve the deltoid ligament that forms the medial part of the anHe joint.It attaches the medial malleolus to multiple tarsal bones.It occurs due to eversion and/orpronation injury, or can be associated with lateral ankle fractures.